Cranial part of accessory nerve supplies all palatal muscles, EXCEPT?
1. Palatoglossus
2. Palato pharyngeus
3. Tensor veli palatini
4. Tensor veli tympani

Correct answer: 3. Tensor veli palatini

Explanation: The cranial root of the accessory nerve is smaller than the spinal root. It exits the skull through the jugular foramen and unites for a short distance with the spinal root. Its fibers innervate the pharyngeal and palatal muscles, except tensor veli palatini.